Drug not used for Pseudomembranous colitis
1. Metronidazole
2. Vancomycin
3. Fidaxomycin
4. Streptogramins

Correct answer: 4. Streptogramins

Explanation: All except streptogramins are used. Drug of choice for pseudomembranous colitis is metronidazole,in resistant cases vancomycin given orally. Fidaxomycin is newer class of macrolide type of antibiotic used specially for PMC Ref:KDT 6/e p799